General paralysis of insane is associated with ?
1. Neurosyphillis
2. Alzheimer's disease
3. Parkinson's disease
4. None of the above

Correct answer: 1. Neurosyphillis

Explanation: Ans, A. NeurosyphillisGeneral paresis, also known as general paralysis ofthe insane or paralytic dementia, is a severe neuropsychiatric disorder, classified as an organic mental disorder and caused by the chronic meningoencephalitis that leads to cerebral atrophy in late-stagesyphilis.Degenerative changes are associated primarily with the frontal and temporal lobar cortex-General paralysis of the Insane (GPI) is progressive deterioration of the whole mental and physical personality.Symptoms included exaggeratedkneejerk, Iack ofreaction ofthe pupils to light, an inabilityto pay attention, a'clouding'of consciousness, poor short-term memory, tremulous voice, reflex disturbances, and retinal anomalies' and diminished skin sensation.Patients were often recognizable by their striking 'delusions of grandeur"